Epiphyseal tumor is -
1. Osteoclastoma
2. Chondromyxoid fibroma
3. Osteosarcoma
4. Ewing sarcoma

Correct answer: 1. Osteoclastoma

Explanation: GCT is an osteolytic tumor arising from the epiphysis and is common between the age of 20-40 years.